A 43-yrs-old female patients, who has sustained a head injury in a fall, has significant problems wit memory. Her brain injury is most likely to the
1. Temporal lobe
2. Frontal lobe
3. Parietal lobe
4. Occipital lobe

Correct answer: 1. Temporal lobe

Explanation: The area of the brain most closely associated with memory is the temporal lobe, particularly the hippocampus. PE presents with a syncopal episode up to 15 percent of the time. Altered mental status and generalized seizures may also be the presenting complaint, especially in the elderly. The most common presenting symptoms are chest pain and dyspnea (up to 85 percent); anxiety occurs in more than 50 percent of PE patients. Tachypnea (RR > 16) is seen in more than 98 percent of all cases, and tachycardia (resting HR > 100) is seen in up to 44 percent of all patients. Other signs are variable. The risk for embolism from proximal DVT is highest in the first week of its formation.